Lacunar cells are seen in
1. Lymphocyte predomninat HL
2. Lymphcyte depleted HL
3. Nodular sclerosis
4. Mixed cellularity

Correct answer: 3. Nodular sclerosis

Explanation: Hodgkins Lymphoma*Hodgkin lymphoma encompasses a group of lymphoid neoplasms*Arise almost invariably in a single lymph node or chain of lymph nodes and spread characteristically in a stepwise fashion to the anatomically contiguous nodes. Hence staging is important.*Its characterized by presence of noeplastic giant cells called as Reed-Sternbergs cell with two nuclear lobes, large inclusion-like nucleoli and abundant cytoplasm.Classification1.Nodular sclerosis2.Mixed cellularity3.Lymphocyte rich4.Lymphocyte depleted5.Lymphocyte predominanceCharacteristics of different subtypes of Hodgkin lymphomaSubtypeMorphology Background infiltrateImmunophenotypeNodular sclerosisLacunar cellsOccasional RS cellsT cells, esinophils, macrophages, plasma cellsCD15+ CD30+ EBV-Mixed cellularityMononuclear cells ( Hodgkin cell) & RS cellT cells, esinophils, macrophages, plasma cellsCD15+ CD30+ EBV+ (70%)Lymphocyte richMononuclear cells ( Hodgkin cell) & RS cellT cells richCD15+ CD30+ EBV+ (40%)Lymphocyte depletedFrequent RS cellsPaucity of background reactive cellsCD15+ CD30+ EBV+ (90%)Lymphocyte predominanceFrequent L&H (popcorn cells)Follicular dentritic cells and reactive B cellsCD15- CD30- EBV- CD20+Note: 1) L&H - lymphocytic and histiocytic variant of Hodgkin lymphoma seen in Lymphocyte predominant subtype. 2) CD 15 and 30 are the classical markers of Hodgkin lymphoma 3) Lymphocyte predominant is different from the other 4 subtypes of Hodgkin lymphoma. Hence called as a NONCLASSICAL variant.4) Prognosis Excellent - Nodular sclerosis, Mixed cellularity, Lymphocyte-rich, Lymphocyte predominant Less favorable- Lymphocyte depleted(Ref: Robbins 8/e p618, 7/e p422-423)